Seitz filter is a ?
1. Candle filter
2. Asbestos filter
3. Membrane filter
4. Sintered glass filters

Correct answer: 2. Asbestos filter

Explanation: Ans. is 'b' i.e., Asbestos filter